Multiple schwannomas are seen with?
1. NF1
2. NF2
3. Noonan's syndrome
4. Tuberous sclerosis

Correct answer: 2. NF2

Explanation: Ans. (b) NF2(Ref: Robbins 9th/pg 1317)NF2 is most commonly characterized by bilateral schwannomas of the vestibulocochlear nerves (cranial nerve VIII) and multiple meningiomas.